Saccharolytic reaction in cooked meat broth is produced by
1. Pseudomonas
2. Clostridium perfringes
3. Clostridium tetani
4. C.diptheriae

Correct answer: 2. Clostridium perfringes

Explanation: CMB also called Robertsons cooked meat -contains nutrient broth and cooked meat of ox heart Saccharolytic reaction positive for cl.perfringes Proteolytic reaction positive for cl.tetani Ref: CP Baveja 4th ed Pg:51